Notochord develops by
1. 8 weeks of pregnancy
2. 24 weeks of pregnancy
3. 14-21 days post conception
4. 2 weeks post conception

Correct answer: 3. 14-21 days post conception

Explanation: (C) 14-21 days post conception [Grays40-184; IBS7-47# Genesis of the notochord:> Notochord develops in 3rd week.> Around the 19th day cells that invade into the primitive node region & migrate along the median line cranially from the chordal process (also known as the axial process).> On the 25th day 9 the chordal plate cuts itself off from the endoderm, which then fuses again, & forms a complete cord:# Notochord:> This is in the middle of the mesoderm, between the ectoderm and endoderm, & plays a role in the induction of the neuro ectoblast that lies over it.> Notochord plays a role in the genesis of the vertebral body & becomes the nucleus pulposus in the intervertebral disk